All the following can be used to grow human viruses except?
1. Continuous cell lines
2. Suckling mice
3. Embryonated egg
4. Enriched media

Correct answer: 4. Enriched media

Explanation: The virus needs cellular components for there growth